Lymphatic drainage of ovary
1. Deep inguinal
2. Superficial inguinal
3. Obturator
4. Paraaortic

Correct answer: 4. Paraaortic

Explanation: The left ovarian vein drains into the left renal vein, and the right ovarian vein empties directly into the inferior vena cava. Supply is through the ovarian, hypogastric, and aortic plexuses. Lymph drainage of the ovary is primarily to the lateral aortic nodes; however, the iliac nodes are also involved. Ref - BDC 6e vol2 pg384